Which of the following is the most common type of Glial tumors?
1. Astrocytomas
2. Medulloblastomas
3. Neurofibromas
4. Ependymomas

Correct answer: 1. Astrocytomas

Explanation: Robbins and cotran Pathologic basis of disease-south asia edition,9 edition. *Astrocytomas are the most common gliomas.